Bronchopulmonary segments in right and left lungs respectively -
1. 9,11
2. 11,9
3. 10,9
4. 8,10

Correct answer: 3. 10,9

Explanation: Ans. is 'c' i.e., 10, 9 Right lung Upper lobe Middle lobe Lower lobe 1. Apical 2. Posterior 3. Anterior 4. Lateral 5. Medial 6. Superior 7. Anterior basal 8. Medial basal 9. Lateral basal 10. Posterior basal Left lung Upper lobe Lower lobe 1. Apical 2. Posterior 3. Anterior } Upper division 6. Superior 7. Anterior basal 8. Lateral basal 9. Posterior basal 4. Superior lingular 5. Inferior lingular } Lower division